Mitosis is arrested in ________ phase by using colchicine in cytogenetic analysis.
1. Prophase
2. Metaphase
3. Anaphase
4. Telophase

Correct answer: 2. Metaphase